Subepithelial deposits occur in which type of renal disease -
1. Minimal change glomerulonephritis
2. Membranous glomerulonephritis
3. Membranoproliferative glomerulonephritis Type 1
4. Lupus Nephritis

Correct answer: 2. Membranous glomerulonephritis

Explanation: Answer: B Membranous Glomerulonephritis. Subepithelial deposits are seen in PSGN, RPGN, MGN Subendothelial deposits - MPGN (TYPE 1), LUPUS NEPHRITIS